Which of the following is a characteristic of physiological jaundice of newborn?
1. Appears within 1st 24 hours of life
2. Involves palms and soles also
3. Clinical jaundice usually disappears after 1 month age
4. It is always unconjugated hyperbilirubinemia

Correct answer: 4. It is always unconjugated hyperbilirubinemia

Explanation: Physiological jaundice- always unconjugated hyperbilirubinemia